Hypothyroidism in children causes?
1. Cretinism
2. Myxedema
3. Acromegaly
4. Gigantism

Correct answer: 1. Cretinism

Explanation: Hypothyroidism in children, especially congenital, is called cretinism.
Hypothyroidism in adults is called myxedema.
Myxedema is more specifically used to describe the edema of skin that occurs with hypothyroidism due to reduced clearance of glycosaminoglycans.
Increased Growth Hormone secretion (mostly due to pituitary somatotrope tumors) prior to epiphyseal fusion (in children), causes Gigantism.
Whereas Increased Growth Hormone secretion after epiphyseal fusion (in adults), causes Acromegaly.